Erythema toxicum in a neonate indicates-
1. Staphylococcal sepsis
2. Pneumococcemia
3. Drug hypersensitivity
4. Is not of any significance

Correct answer: 4. Is not of any significance

Explanation: D. i.e. Is not of any significance